The Broca's area is situated in the
1. Temporal lobe
2. Posterior part of Inferior frontal gyrus
3. Occipital calcarine fissure
4. Mammillary body region

Correct answer: 2. Posterior part of Inferior frontal gyrus

Explanation: (B) Inferior frontal gyrus # BROCA'S AREA is a section of the human brain that is involved in language processing, speech or sign production, and comprehension.> Broca's area is located in the opercular and triangular sections of the inferior frontal gyrus of the frontal lobe of the cortex.> Broca's and Wernicke's areas are found unilaterally in the brain (left hemisphere).> Broca's area comprises Brodmann area 44 and (according to some authorities) Brodmann area 45.> Broca's Area is connected to Wernicke's area by a neural pathway called the arcuate fasciculus.